Sporicidal disinfectant is all of the following, except:
1. Glutaraldehyde
2. Formaldehyde
3. Ethylene oxide
4. Benzalkonium chloride

Correct answer: 4. Benzalkonium chloride

Explanation: Sporicidal agents are :
E – Ethylene oxide  F – Formaldehyde  G – Glutaraldehyde
H – Halogens (moderate action on spores)

Benzalkonium chloride is Quaternary ammonium (cationic) antiseptic which are not sporicidal.

KDT 6/e, p 860

Phenol and Hexachlorophene are poor sporicidal.